All of the following are examples for mechanism based inhibition, EXCEPT:
1. Aspirin on cyclooxygenase
2. Allopurinol on Xanthine oxidase
3. Statins on HMG-CoA reductase
4. Difluoromethylornithine on ornithine decarboxylase

Correct answer: 3. Statins on HMG-CoA reductase

Explanation: Mechanism-based inhibition/Suicidal inhibition: Suicidal inhibitors resemble the actual substrate of the enzyme. Enzymes binds to suicidal inhibitor & catalytic process is started. In the process of catalysis, enzyme undergoes irreversible covalent modification by the inhibitor & active enzyme can't be regenerated. (Enzyme catalyses its own destruction) Suicidal Inhibitor Enzyme Allopurinol Xanthine oxidase Aspirin Cyclooxygenase 5-FU Thymidylate synthase Penicillin Transpeptidase Difluoromethylornithine Ornithine decarboxylase